All of the following are primary cutaneous disorder except -
1. Psoriasis
2. Reiter's disease
3. Lichen planus
4. Icthiosis

Correct answer: 2. Reiter's disease

Explanation: Reiter's syndrome is primarily a reactive polyarthritis. Cutaneous involvement is a secondary feature.